Pupil condition in opium poisoning -
1. Miosis
2. Mydriasis
3. Irregular
4. No change

Correct answer: 1. Miosis

Explanation: Ref: K.S.Narayan Reddy's Synopsis of Forensic Medicine and Toxicology, 29th edition, Chapter 29,page 324.